Following acute respiratory response to ascent to high altitude, there is normalization of blood pH.The mechanism is
1. Increased erythropoiesis leads to increased buffering by haemoglobin
2. Increased excretion of HCO3– by the kidneys
3. Increased levels of 2, 3–DPG
4. Retention of bicarbonate by the kidneys

Correct answer: 2. Increased excretion of HCO3– by the kidneys

Explanation: Decrease in PaO2 stimulates the peripheral chemoreceptors at high altitudes. This triggers hyperventilation. Hyperventilation results in CO2 washout and respiratory alkalosis. This is compensated by increased excretion of bicarbonates by the kidney.